True about propranalol is ?
1. Metabolism of propranolol is not dependent on the hepatic blood flow
2. Undergoes extensive first pass metabolism
3. Hydroxylated product of propranolol has alpha blocking property
4. Propranolol is lipophobic

Correct answer: 2. Undergoes extensive first pass metabolism

Explanation: Ans. is 'b' i.e., Undergoes extensive first pass metabolism Propranolol metabolism It is well absorbed after oral administration. It has low bioavailability due to high first pass metabolism in liver. It is lipophilic and easily penetrates into brain. Metabolism of propranolol is dependent on the hepatic blood flow. Bioavailability of propranolol is increased when it is taken with food. o Hydroxylated product of propranolol has beta blocking activity. Metabolites are excreted in urine mostly as glucuronides. More than 90% of propranolol is bound to plasma proteins.